Peripheral aneurysm most commonly located at
1. Femoral artery
2. Popliteal artery
3. Brachial artery
4. Axillary artery

Correct answer: 2. Popliteal artery

Explanation: . Ans : (b) Popliteal artery - Popliteal artery aneurysm accounts for 70% of all peripheral aneurysms ; two- thirds are bilateral. - Almost all patients (97%) with Popliteal artery aneurysms are male.